A 50-year-old man with advanced tuberculosis has developed signs of severe acute adrenal insufficiency. The patient should be treated immediately with a combination of:
1. Aldosterone and fludrocortisone
2. Triamcinolone and dexamethasone
3. Cortisol and fludrocortisone
4. Dexamethasone and metyrapone

Correct answer: 3. Cortisol and fludrocortisone